Resting membrane potential of a neuron is
1. -9mV
2. -50mV
3. -70mV
4. -100mV

Correct answer: 3. -70mV

Explanation: In neurons, the resting membrane potential is usually about - 70mV, which is close to the equilibrium potential for K+. Because there are more open K+channels than Na+ channels at rest Ref: Ganong's Review of medical physiology;25th edition; pg: 90